In a subclavian artery block at outer border of 1st rib, all of the following arteries help in maintaining the circulation to upper limb, EXCEPT?
1. Subscapular artery
2. Superior thoracic artery
3. Thyrocervical trunk
4. Suprascapular artery

Correct answer: 2. Superior thoracic artery

Explanation: A rich anastomosis exists around the scapula between branches of subclavian artery (first part) and the axillary artery (third part). This anastomosis provides a collateral circulation through which blood can flow to the limb when the distal part of subclavian artery or the proximal part of axillary artery is blocked. Scapular anastomoses occur between the following branches of proximal subclavian and distal axillary artery: Branches of Subclavian artery: Thyrocervical trunk, Suprascapular and Deep branch of transverse cervical.Branches of Axillary artery: Subscapular, Posterior circumflex humeral and Thoracoacromial aeires.